True about nodular lymphocytic predominant Hodgkin's lymphoma -
1. Consists predominantly of classical RS cells
2. CD 15 & CD 30 positive
3. Made up of T lymphocytes
4. Have good prognosis

Correct answer: 4. Have good prognosis

Explanation: Ans. is 'd' i.e., Have good prognosis